Internal trigone of urinary bladder develops from:-
1. Ectoderm
2. Endoderm
3. Mesoderm
4. Any of above

Correct answer: 3. Mesoderm

Explanation: The entire mucosa of urinary bladder except the internal trigone develops from endoderm of vesicourethal part of cloaca. The internal trigone is developed from the mesoderm by incorporation of caudal parts of the mesonephric ducts.